The maxillary teeth which have single antagonist are:
1. Lateral incisors
2. Permanent canines
3. Permanent central incisors
4. Third molars

Correct answer: 4. Third molars